Gaucher disease is produced due to defect in the enzyme:
1. b-glucosidase
2. Glucokinase
3. Sphingomyelinase
4. Glucose-6-phosphate dehydrogenase

Correct answer: 1. b-glucosidase

Explanation: a. b-glucosidase(Ref: Nelson's 20/e p 708-712, Ghai 8/e p 659-664)Gaucher disease is the most common lysosomal storage disorder with a defect of lysosomal enzyme acid p glucosidase.